Which of the following is the best indicator of community health?
1. Crude death rate
2. NRR
3. Infant mortality rate
4. Total fertility rate

Correct answer: 3. Infant mortality rate

Explanation: Infant mortality rate is universally regarded as the best indicator of the community health. Infant mortality is defined by the number of infant deaths (before age one) per 1,000 live births and is an indication of the quality and accessibility of prenatal care for pregnant women. The infant mortality rate is a critical indicator in the overall health and welfare of a nation.